The infective form of malarial parasite is :
1. Trophozoites
2. Sporozoites
3. Hypnozoites
4. Merozoites

Correct answer: 2. Sporozoites